Wilm's tumor associated with all except -
1. WAGR
2. Beckwith Weidman
3. Dennis dash
4. Digeorge syndrome

Correct answer: 4. Digeorge syndrome

Explanation: Ans. is 'd' i.e., Digeorge syndrome o Wilnvs tumour is associated with three groups of congenital malformations,o The risk of Wilm's tumour is increased in these conditions,o These are -o WAGR syndrome - It consists of# Aniridia# Genital anomalies# Mental retardationThe risk of Wilnvs tumour is increased by 33% in this syndrome,o Denys - Drash syndrome - It consists ofGonadal dysgenesis (male pseudohermaphroditism)Nephropathy leading to renal failure.Majority of patients with this syndrome have renal failure,o Beckwith - Wiedeman syndrome - It consists of# Enlargement of body organso Hemihypertrophy# Renal medullary cysts.o Abnormal large cells in adrenal cortex.